All of the following are considered  the  hallmarks of cancer except____________.
1. Limitless replicative potential
2. Insensitivity to growth-inhibitory signals
3. Self-sufficiency in growth signals
4. None of the above

Correct answer: 4. None of the above

Explanation: All cancers display eight fundamental changes in cell physiology, which are considered the hallmarks of cancer. These changes are:

Self-sufficiency in growth signals.
Insensitivity to growth-inhibitory signals.
Altered cellular metabolism.
Evasion of apoptosis.
Limitless replicative potential (immortality).
Sustained angiogenesis.
Invasion and metastasis.
Evasion of immune surveillance.

Reference-Robbins BASIC PATHOLOGY 10th edition pg- 205